Animal to man transmission (zoonosis) is seen in -a) Rabiesb) Japanese encephalitisc) HIVd) Plaguee)  Measles
1. acd
2. bcd
3. abc
4. abd

Correct answer: 4. abd